Pseudohermaphroditism in a female child is most commonly due to-
1. 21-hydroxylase deficiency
2. 17-hydroxylase deficiency
3. 11-hydroxylase deficiency
4. 3-hydroxylase deficiency

Correct answer: 1. 21-hydroxylase deficiency

Explanation: Ans. is 'a' Le., 21-hydroxylase deficiency Classic 21-hydroxylase deficiency is the most common cause of Ambiguous genitalia in a new born. Virilization is usually apparent at birth in females Le Pseudohermaphroditism of a female child